Fick principle of calculation of cardiac output doesn't depend on-
1. Whole body oxygen consumption
2. Oxygen content of arterial blood
3. Stroke volume
4. Oxygen content of venous blood

Correct answer: 3. Stroke volume

Explanation: Based on Fick principle